TRUE about RU - 486 is :
1. Used for inducing abortion in early week of pregnancy
2. Used along with contraceptive pill
3. Acts on the cytoplasmic receptor
4. Used for preventing ectopic implantation

Correct answer: 1. Used for inducing abortion in early week of pregnancy

Explanation: Used for inducing abortion in early week of pregnancy